Cobalt is a part of which vitamin -
1. Retinol
2. Pyrodoxine
3. Cyanocobalamin
4. Vitamin C

Correct answer: 3. Cyanocobalamin

Explanation: Ans. is 'c' i.e., Cyanocobalamin o Cobalt is a part of Cyanocobalamine